Temperomandibular joint is:
1. Devoid of the synovial membrane.
2. Has no synovial fluid.
3. Has rudimentary synovial membrane.
4. The synovial membrane does not cover the articular surface.

Correct answer: 4. The synovial membrane does not cover the articular surface.

Explanation: Temporo-mandibular joint is weight-bearing joint though not covered by hyaline cartilage like sterno-clavicular joint. Clavicle ossifies at five weeks followed by mandible at six weeks. Absence of hyaline cartilage is because no cartilaginous precursor exists at that time. This does not mean that the joint is non-weight bearing, it is the early ossification which has made the joint free of hyaline cartilage.